A 43 year old male during the preoperative evaluation of hernia repair is found to have a solitary pulmonary nodule. What is the important radiological feature to suggest its benign nature?
1. Large lesion with calcification
2. Irregular shape
3. No calcification
4. 1 cm lesion with uniform calcification

Correct answer: 4. 1 cm lesion with uniform calcification

Explanation: The important radiological characteristics to suggest benign lesion in solitary pulmonary nodule: No growth in follow up imaging in two years and calcification Younger age group Regular shape Normal edge Ref: Lange radiology, Edition - 7, Page - 256.